Metabolic encephalopathy presents with
1. Broca's aphais
2. Anomic aphasia
3. Transcortical sensory aphasice
4. transcortical motor aphasia.

Correct answer: 2. Anomic aphasia

Explanation: Ans. is 'b' anomic aphasia "Anomic aphasia is the single most common language disturbance seen in head trauma, metabolic encephalopathy and Alzheimer's disease" - HarrisonAnomic aphasia is dysfunction where a person is unable to name objects.His articulation, comprehension and repetition are intact, but naming, word finding and spellings are impaired.